If biliary pool is reduced, the bile acid synthesis/enterohepatic recycling of bile salts is:
1. Reduced
2. Increased
3. Remains the same
4. Not associated with biliary pool

Correct answer: 2. Increased

Explanation: The enterohepatic circulation provides an important negative feedback system on bile acid synthesis. If there is reduced availability of bile salts in circulation, it acts as a stimulus for increased enterohepatic recycling as well as increased synthesis of bile acids in the liver.